"Snowflakes" cataract is seen
1. Diabetes
2. Galectosemia
3. Trauma
4. Wilson's disease

Correct answer: 1. Diabetes

Explanation: A. (Diabetes) (181 - Khurana 4th)True Diabetic Cataract - It is also called "snow- flake cataract" or "snow storm cataract". It is rare condition usually occurring in young adults due to osmotic overhydration of the lens. Initially a large number of fluid vaccoules appears underneath the anterior and posterior capsules. Which is soon following by appearance of bilateral "snow - flake white opacities in the cortex* Clasical diabetic cataract consists of snow flake cortical opacities occurring in young diabetics (166 - K)* Galectosaemic cataract - bilateral cataracts oil droplet central lens opacities*** Wilson's disease - "Sunflower cataracts"*** Dystrophia - myotonica - "Christmas tree" patternTreatment of advanced diabetic retinopathy include - Seal the tear and reattach the retina, vitrectomy, exophotocoagulation***